Characteristic feature of still's disease:
1. Prominent kidney involvement
2. Rashes
3. Positive Rheumatoid factor
4. Neutropenia

Correct answer: 2. Rashes

Explanation: Ans. is 'b' Rashes Stills disease is a variant of rheumatoid commonly occurring in adults in 20's and 30's patients characteristics clinical features are:High spiking fever often upto 40deg C.Sore throatEvanescent salmon coloured non pruritic rash, seen on chest & abdomenLymphadenopathyPericardial effusionWrist joint involvementChances are that you might confuse it with Felty's syndrome so I am giving the important features of both these conditions togetherStills ds Feltv's syndromeRheumatoid arthritis * Rheumatoid arthritisSplenomegaly * SplenomegalyLeucocytosis * NeutropeniaRash * High titres of rheumatoid factorRheumatoid factor is usually not present